Superior gluteal nerve does not supply -
1. Tensor fasciae latae
2. Gluteus medius
3. Gluteus minimus
4. Gluteus maximus

Correct answer: 4. Gluteus maximus

Explanation: Ans. is 'd' i.e.. Gluteus maximus o Nerve supplying muscles of gluteal region areInferior gluteal nerve : Gluteus maximus.Superior gluteal nerve : Gluteus medius and minimus,Nerve to piriformis : PiriformisNerve to obturator intemus : Obturator intemus. Gemellus superior.Nerve to quadrants femoris : Quadratus femoris, Gemellus inferior,o Tensor fascia latae is supplied by superior gluteal nerve.